The Failure rate of male condom is:
1. 0.50%
2. 2-18%
3. 2-4%
4. 18-28%

Correct answer: 2. 2-18%

Explanation: Condoms are barrier method of contraception. Total condom failure rates (breakage and slippage rate combined) can range from 2 to 18 % Contraceptive efficacy of the male condom is enhanced appreciably by areservoir tip and by the addition of a spermicide. Such agents, as well asthose used for lubrication, should be water-based because oil-based productsdegrade latex condoms and diaphragms.